In cardiac shock -
1. SBP < 90 mm of Hg
2. DBP < 80 mm of Hg
3. Cardiac index <3.5
4. Stroke volume 70 ml

Correct answer: 1. SBP < 90 mm of Hg